Sirolimus (Rapamune) is prescribed to a post-renal transplantation client. Upon the review of the chart, the nurse expects which of the following laboratory results?
1. Elevated serum potassium.
2. Decreased cholesterol level
3. Elevated platelet count.
4. Elevated triglyceride level.

Correct answer: 4. Elevated triglyceride level.

Explanation: Sirolimus (Rapamune) raises cholesterol and triglyceride levels. This medication also causes a decrease in potassium and platelet count.